All are radiologic signs in scurvy EXCEPT:
1. White line in Metaphysis
2. Cupping and fraying
3. Ground glass appearance
4. Zone of rarefaction

Correct answer: 2. Cupping and fraying

Explanation: Wrist widening (splaying), Cupping and fraying occurs in rickets and not in scurvy. Radiological Signs of Scurvy include: Ground-glass appearance of long bones/ Pencil thin cortex White line of Frankel on the ends of the shafts of the tibia and fibula Wimberger sign (Sclerotic ring around epiphysis) Trummerfeld zone (poorly formed trabeculae) Pelkan spur at the cortical end Subperiosteal hemorrhages scorbutic rosary (swelling of costochondral junctions)